Dark ground microscopy is used for detection of ?
1. Spirochetes
2. Chlamydia
3. Fungi
4. Virus

Correct answer: 1. Spirochetes

Explanation: Ans. is 'a' i.e., Spirochetes